Cause of Reye's syndrome in children:
1. Polio virus
2. Measles virus
3. Influenza virus
4. HIV

Correct answer: 3. Influenza virus

Explanation: Ans. C i.e. Influenza virus